Lynch syndrome is associated with cancers of the:
1. Breast, colon, ovary
2. Breast, endometrium, ovary
3. Breast, colon, endometrium
4. Colon, endometrium, ovary

Correct answer: 4. Colon, endometrium, ovary

Explanation: Lynch syndrome is familial clustering of cancers at several sites:- Colorectum Endometrium Stomach Ovary Ureters Brain Small bowel